All lead to septal perforation except
1. Syphilis
2. Rhinosporidiosis
3. Trauma
4. Septal Abscess

Correct answer: 2. Rhinosporidiosis